Mechanism of action of IUCD is A/E -
1. Chronic endometrial inflammation
2. Anovulation
3. Tubal motility alteration
4. Endometrial atrophy

Correct answer: 2. Anovulation

Explanation: Ans. is 'b' i.e., Anovulation IUCD does't affect ovulation. Mechanism of actions of IUDs 1) Most accepted Induce a foreign - body reaction that results in chronic inflammatory reaction --> cellular and biochemical changes in the endometrium and uterine fluids. These changes impair the viability of the gamete and thus reduce its chances of fertilization rather than its implantation. "IUDs prevent fertilization primarily by interfering with the ability of sperm to survive and to ascend the fallopion tubes, where fertilization curs". Reaserch articles "Whatever the IUD's specific mechanism of action, it appears that the IUD effectively interrupts the reproductive process of implantation ". 2) In medicated IUDs, copper enchances the cellular response in the endometrium. By altering the biochemical composition of cervical mucus, copper ions may affect sperm motility, capaciation and survival. Hormone - releasing devices increase the viscosity of cervical mucus and thereby prevent sperm from entering the cervix. They also maintain high level of progesterone in the endometrium and thus, relatively low levels of estrogen, thereby sustaining an endometrium unfavourable to implantation.